An infant with history of diarrhoea 5 days back has urea 200 mg% and creatinine 5me/o. The platelet count is 90000. Fragmented RBC s are found in the peripheral smear. The most possible diagnosis ?
1. HUS
2. TTP
3. ITP
4. Hemolytic anemia

Correct answer: 1. HUS

Explanation: Ans. is 'a' i.e., HUS The clues in this question are ? 1) History of diarrhea 3) Thrombocytopenia 2) Raised BUN and creatinine 4) Fragmented RBCs in peripheral smear All these suggest the diagnosis of HUS.